Sodomy is punishable under:
1. Sec. 354 IPC
2. Sec. 375 IPC
3. Sec. 377 IPC
4. Sec. 378 IPC

Correct answer: 3. Sec. 377 IPC

Explanation: Ans. Sec. 377 IPC